Which of the following is false regarding laminaria tent as a contraceptive?
1. It is made from seaweed
2. It is placed in the posterior fornix
3. It is used for the dilatation of the cervix
4. It has got a thread to facilitate removal

Correct answer: 2. It is placed in the posterior fornix

Explanation: Laminaria tent is made from seaweed and is intensely hygroscopic. It when placed in the cervix expands due to the hygroscopic action resulting in dilation of the cervix. Ref: Mudaliar and Menon's Clinical Obstetrics, 9th Edition, Page 517.